A 40 year old male develops excessive hyperventilation.ABG reveals pH-7.5,pCO2 24 mm Hg,PO2 88 mmHg. Diagnosis?
1. Respiratory alkalosis
2. Metabolic alkalosis
3. Respiratory acidosis
4. Metabolic acidosis

Correct answer: 1. Respiratory alkalosis

Explanation: Ref Harrison 19 th ed pg 323 There is alkalosis (pH-7.5) and CO2 is low ( alkalosis).change in CO2 is in keeping with change in pH and thus the primary cause is respiratory. The acid base disturbance is thus primary respiratory alkalosis.